Safety muscle of the tongue is -
1. Hyoglossus
2. Genioglossus
3. Palatoglossus
4. Styloglossus

Correct answer: 2. Genioglossus

Explanation: Genioglossus is the safety muscle of the tongue as it protrudes the tongue and prevents it from falling back → Life saving muscle.